Child having perianal pruritus with following eggs is due to:
1. E. vermicularis
2. Ascaris
3. Ankylostoma duodenale
4. S. stercoralis

Correct answer: 1. E. vermicularis

Explanation: Ans. is 'a' i.e., E. Vermicularis(Ref: Harrison, 19th/e, p. 1416)* Most pinworm infections are asymptomatic, the others name of Enterobius vermicularis are Pinworm, threadworm, seatworm.* Perianal pruritis is the cardinal symptom. The itching is worse at night and disturbes sleep.* Heavy infections can cause abdominal pain and weight loss.* NIH swab is used for diagnosis.